Buck's fascia is related to:
1. Ischiorectal fascia
2. Thigh
3. Neck
4. Penis

Correct answer: 4. Penis

Explanation: The superficial fascia of penis consists of very loosely arranged areolar tissue, completely devoid of fat - It is continuous with the membranous layer of the superficial fascia of the abdomen above and of the perineum below. It contains the superficial dorsal vein of penis - The deepest layer of superficial fascia is membranous and is called the fascia of the penis or deep fascia of penis or Buck's fascia - It surrounds all three masses of erectile tissue, but does not extend to the glans